All are related to lateral vaginal fornix except :
1. Ureters
2. Mackenrodt's
3. Inferior vesical artery
4. Uterine artery

Correct answer: 3. Inferior vesical artery

Explanation: Inferior vesical artery The cervix and all 4 fornices are related to :* Uterine Vesselsdeg Mackenrodt's ligamentdeg Ureterdeg Posteriorly surrounding the Pouch of Douglas lie the utero sacral ligaments.deg Also know : Relation of the cervix and fornices also form the superior relations of the vagina. Other Relations of Vagina-Anterior relations : Upper 1/3- base of bladder Lower 2/3- urethra and Paraurethral glands (Skene's tubules). Posterior Relations : Upper 1/3 - Pouch of Douglas Middlel/3 - Ampulla of rectum Lower 1/3 - Perineal body. Lateral relations : Upper 1/3 - Related to pelvic cellular tissue and its condensation - Mackenrodt ligament in which lie ureter, Uterine Artery Middle 1/3 - Levator ani Lower 1/3 - Bulbo cavernous muscle, vestibular bulbs, Bartholin's gland.